Carcinoid tumor develops from
1. Enterochromaffin cells
2. Neuroectoderm
3. J cells
4. Goblet cells

Correct answer: 1. Enterochromaffin cells